Supination and Pronation occurs at-
1. Wrist joint
2. Radio-ulnar joints
3. Elbowjoint
4. Midcarpaljont

Correct answer: 2. Radio-ulnar joints

Explanation: Ans. is 'b' i.e., Radio-ulnar joints o Forearm rotation (supination & pronation) occurs at radio-ulnar joint complexQ i.e.y Superior (proximal) radioulnar jointInferior (distal) radioulnar jointMiddle radioulnar joint